Anterior pituitary secretes all except -
1. Growth hormone
2. Prolactin
3. FSH
4. Oxytocin

Correct answer: 4. Oxytocin

Explanation: Anterior pituitary has two types of cells : -
1. Acidophilic cells

Somatotrophs    → Secrete growth hormone
Lactotrophs        → Secrete prolactin

2. Basophilic cells

Corticotrophs  →  Secrete ACTH, POMC, MSH
Thyrotrophs    → Secrete TSH
Gonadotrophs  → Secrete FSH, LH

Posterior pituitary secretes ADH and oxytocin.